False about shwachman's disease
1. Leucocytosis
2. Exocrine pancreatic insufficiency
3. Short stature
4. Bone marrow dysfunction

Correct answer: 1. Leucocytosis

Explanation: Shwachman's disease is a disorder of phagocytosis
Characterised by neutropenia not leucocytosis.